Pain due to post-amputation neuroma is best treated by:
1. Infrared therapy
2. Interference therapy
3. Ultrasound therapy
4. Surgical Excision

Correct answer: 4. Surgical Excision

Explanation: D i.e. Surgical Excision A painful neuroma can be prevented by gentle traction on the nerve followed by sharp proximal division, allowing the cut nerve end to retract deep into the soft tissue away from the end of amputated limb. A painful neuroma usually is palpable and often has a positive Tinel sign. Initial treatment consists of socket modification. If this fails to relieve symptoms, simple neuroma excision or a more proximal neurectomy may be required and the severed nerve is replaced into healthy tissue. Some authors recommended neuroma excision combined with centrocentral anastomosis of the proximal stump or a procedure to seal the epineural sleeve. Phantom limb pain, although rarely when is significant, can be extremely difficult to treat. More that 50 different methods of treatment are in use. Although no one specific method is universally beneficial, some patient may benefit from such diverse measures as massage, ice, heat, increased prosthetic use, relaxation training, biofeed back, sympathetic blockade, local nerve block, epidural block, ultrasound, trans cutaneous electric nerve stimulation (TENS), placement of dorsal column stimulator, interferential therapy, and acupuncture etc.